About CSF following statement (s) is/ are true:
1. Specific gravity is 1.003 - 1.0008
2. Daily production is 550 ml/day
3. Total volume of CSF is 150 ml
4. All

Correct answer: 4. All

Explanation: A, C, & B i.e. Specific gravity is 1.003 - 1.0008, Total volume of CSF is 150 ml , & Daily production is 550 ml/day